Coeliac plexus reaches to most of the abdominal viscera. Where is Coeliac plexus located?
1. Anterolateral and around the aorta
2. Posterolateral and around the aorta
3. Anteromedial to lumbar sympathetic chain
4. Posterolateral to lumbar sympathetic chain

Correct answer: 1. Anterolateral and around the aorta

Explanation: The celiac (solar) plexus is located in the epigastric region over the abdominal aorta. It comprises of diffuse network of nerve fibers and individual ganglia that lie over the anterolateral surface of the aorta at the T12/L1 vertebral level. It is formed from vagal fibers reaching it the esophageal plexus, sympathetic fibers arising from celiac ganglia, and sympathetic fibers coursing down from the thoracic aortic plexus. It projects to most of the abdominal viscera, which it reaches by way of numerous subplexuses, including phrenic, hepatic, splenic, superior gastric, suprarenal, renal, spermatic or ovarian, abdominal aortic, and superior and inferior mesenteric plexuses. Ref: Waxman S.G. (2010). Chapter 20. The Autonomic Nervous System. In S.G. Waxman (Ed), Clinical Neuroanatomy, 26e.